Hemorrhagic cystitis is caused by :
1. Cyclophosphamide
2. 6 Mercaptopurine
3. 5 Fluorouracil
4. Busulfan

Correct answer: 1. Cyclophosphamide

Explanation: Cyclophosphamide is a prodrug and is activated by hepatic biotransformation to aldophosphamide. One of its degradation products is acrolein that is responsible for hemorrhagic cystitis (its characteristic adverse effect). This adverse effect can be decreased by vigorous hydration and by the use of mercapto ethane sulfonic acid (mesna).